A neonate is having jaundice involving palms and soles. The approximate serum bilirubin is
1. 4-6 mg/dl
2. 6-8 mg/dl
3. 8-12 mg/dl
4. >15 mg/dl

Correct answer: 4. >15 mg/dl

Explanation: Serum levels of total bilirubin are approximately 4-6 mg/dl (Face), 6-8 mg/dl (Chest and upper abdomen), 8-12 mg/dl (Lower abdomen and thighs), 12-14 mg/dl (Arms and legs) and >15 mg/dl (Palms and soles). Yellow staining of palms and soles is a danger sign and requires urgent serum bilirubin estimation and further management.In general, the estimation of bilirubin levels by dermal zones is unreliable particularly at higher TSB levels, after phototherapy and when it is carried out by an inexperienced observer. Total serum bilirubin can be assessed non invasively by a transcutaneous handheld device.Ref: Paediatrics; O.P. Ghai; 8th edition; Page no: 173